Which statement best completes this sentence The superior mesenteric artery:
1. Supplies the gut from the pylorus to the terminal ileum.
2. Arises from the aorta at the level of L1.
3. Runs in front of the body of the pancreas.
4. Crosses the second part of the duodenum.

Correct answer: 2. Arises from the aorta at the level of L1.

Explanation: The superior mesenteric artery arises from the aorta at the level of L1 and then descends. It then passes behind the splenic vein and the body of the pancreas. The superior mesenteric artery is the artery of the midgut, and supplies the duodenum, small intestine and the large intestine as far as a point 2/3 of the way along the transverse colon. The superior mesenteric artery passes anterior to the uncinate process of the pancreas and the left renal vein. The superior mesenteric vessels cross the third part of the duodenum after passing over the uncinate process of the pancreas.